Sensory block for lower segment caesarian section is given at the level of?
1. T4
2. T6
3. T8
4. T10

Correct answer: 1. T4

Explanation: Ans. a. T4 (Ref: www.ajol.info/index.php/sajaa/article/viewFile/62297/50293)'Caesarean sections require sensory blockade up to the T4 dermatome level, as this not only blocks the somatic sensations of the Caesarean sections but also eliminates the visceral pain from peritoneal manipulation. - www.ajol.info/index.php/ sajaa/article/viewFile/62297/50293Spinal Anesthesia for Lower Segment Cesarean Section (LSCS)Spinal anesthesia, which blocks the nerve roots as they course through the subarachnoid space, has become the preferred technique for LSCSs.This is because general anaesthesia is associated with a higher incidence of pulmonary aspiration of gastric contents and failed endotracheal intubations compared to other types of surgery, causing higher rates of morbidity and mortality'.Furthermore, spinal anesthesia offers less neonatal exposure to potentially depressant drugs and allows early bonding between mothers and their babies, as mothers are awake throughout the procedure.Cesarean sections require sensory blockade up to the T4 dermatome level, as this not only blocks the somatic sensations of the Caesarean sections but also eliminates the visceral pain from peritoneal manipulation.